Cushing syndrome is not a feature of :
1. Adrenal carcinoma
2. Oat cell carcinoma of lung
3. Medulloblastoma
4. Pituitary adenoma

Correct answer: 3. Medulloblastoma

Explanation: Answer is C (Medulloblastoma) : Medulohlastoma is not associated with Cushing's syndrome